Regarding Fordyce spots – a) Represent internal malignancyb) Ectopic sebaceous glandsc) Present in axillaed) Found in healthy peoplee) Are erythematous
1. c
2. d
3. bd
4. ac

Correct answer: 3. bd

Explanation: Fordyce's spot represents ectopic sebaceous glands.
Fordyce's spt is totally benign condition which occurs in normal people.
Sites of involvement → lips (most common), oral mucosa (second most common), vulva & Penis.